Fastest acting anti-thyroid drug is
1. Sodium Iodide
2. Propyl thiouracil
3. Methimazole
4. Thiocyanate

Correct answer: 1. Sodium Iodide

Explanation: Secretion inhibitors:These are fastest acting anti thyroid drugs. NaI KI Lugol iodine Thyroid peroxidase inhibitor Carbimazole/Methimazole Propylthiouracil Thiocyanate is Na+I+symporter (NIS) inhibitor. Highly toxic Not used clinically